Bent inner tube sign is seen in
1. Volvulus
2. Intussusception
3. Intestinal obstruction
4. Gastric antral vascular ectasia

Correct answer: 1. Volvulus

Explanation: Ans. (a) VolvulusRef: Manipal Manual of surgery, 4th ed./739* In sigmoid volvulus, the X ray abdomen erect shows hugely dilated sigmoid loop called bent inner tube sign.* Acute sigmoid volvulus presents as intestinal obstruction and starts after straining at stool. It occurs in anti-clockwise direction and after one and a half turns, the entire loop becomes gangrenous.* The percussion note on the abdomen shall be tympanitic note.